All of the following nerves supply the medial aspect of auricle EXCEPT:
1. Greater auricular nerve
2. Lesser occipital nerve
3. Facial nerve
4. Auriculotemporal nerve

Correct answer: 4. Auriculotemporal nerve

Explanation: Ans. (d) Auriculotemporal nerveRef: Dhingra's ENT 6th ed./4* Auriculotemporal nerve supplies only on the lateral aspect of auricle.